Which of the following surface protein is most often expressed in human hematopoietic stem cells?
1. CD22
2. CD45
3. CD15
4. CD34

Correct answer: 4. CD34